True positive is indicated by-
1. Sensitivity
2. Specificity
3. Predictive value
4. Validity

Correct answer: 1. Sensitivity

Explanation: Ref :Parks 23rd edition pg 139 Sensitivity = TP / (TP + FN) Sensitivity is defined as the ability of a test to identify correctly all those who have the disease, that is "true positive".